Treatment of cholesteatoma with facial paresis in child is -
1. Antibiotics to dry ear and then mastoidectomy
2. Immediate mastoidectomy
3. Observation
4. Only antibiotic ear drops

Correct answer: 2. Immediate mastoidectomy